Thrombosthenin is a/an
1. Thrombosis preventing protein
2. Contractile protein
3. Coagulation protein
4. Protein for regulating platelets production

Correct answer: 2. Contractile protein

Explanation: Ans. is 'b' is Contractile protein Thrombosthenin is a contractile protein found within platelets. It helps the platelets to contract during clot formation.Other contractile proteins found within platelets are-Actin andMyosin molecules